Receptor for HIV?
1. CD4
2. CD3
3. CD5
4. CD56

Correct answer: 1. CD4

Explanation: Ans. (a) CD4